Regarding ETEC, true is -
1. Invades submucosa
2. Most common in children of developing countries
3. Fomite borne and person to person
4. Not a common cause of traveller's diarrhea

Correct answer: 2. Most common in children of developing countries